Anterior relation of left kidney
1. Liver
2. Duodenum
3. Ascending colon
4. Pancreas

Correct answer: 4. Pancreas

Explanation: Anterior Relations - (1) Left suprarenal gland, (2) spleen, (3) stomach, (4) pancreas, (5) splenic vessels, (6) splenic flexure and descending colon, and (7) jejunum. Out of these the gastric, splenic and jejunal surfaces are covered by peritoneum. The lateral border of the left kidney is related to the spleen and to the descending colon Ref : B D Chaurasia's Human Anatomy , seventh edition, volume 2 , pg. no. 343